Which of the following is true about depression:
1. Increased Serotonin and Norepinephrine
2. Increased serotonin decreased Norepinephrine
3. Decreased serotonin and Norepinephrine
4. Decreased serotonin increased Norepinephrine

Correct answer: 3. Decreased serotonin and Norepinephrine

Explanation: Ans. (c) Decreased serotonin and NorepinephrineRef : Harrison 19th ed. / 2714-2715* Depression is one of the mood disorders* It is considered as most common psychiatric disorder.* Most commonly seen in middle age females. M:F ratio= 1:2* Neurotransmitters involved are serotonin and NE. Both are decreased.Diagnostic Criteria of DepressionMajor CriteriaMinor CriteriaPersistent sadness of moodLoss of appetiteLoss of pleasure in activitiesSleep disturbanceEasy fatiguabilityDecreased libido| ConcentrationIdeas of guilt, worthlessness, hopelessnessSuicidal ideas.Depression Category on Basis of Severity* Mild Depression :2 major + 2 minor* Moderate Depression :2 major + 3 minor* Severe Depression : 2 major + 4 minorAlso KnowDiseaseRelated NeurotransmitterAlzheimer's diseaseAcetyl cholineDepressionNorepinephrine, Serotonin (5-HT) & dopamine are DECREASEDOCNSerotonin (5 HT)SchizophreniaDopamine, Serotonin & Norepinephrine are INCREASED